Increased levels of alanine in serum after fasting suggest:
1. Increased release of alanine from muscle
2. Reduced amino acid utilization for gluconeogenesis
3. Break in continuity of plasma membrane resulting in leakage of amino acids
4. Decreased uptake of alanine by liver

Correct answer: 1. Increased release of alanine from muscle

Explanation: A i.e. Increased release of alanine from muscle: